Which anaesthetic agent can have teratogenic effect?
1. N2O
2. Halothane
3. Isoflurane
4. Desflurane

Correct answer: 1. N2O

Explanation: Nitrous oxide can have teratogenic effect if used for prolonged period of time.